A most serious complication of measles is-
1. Koplik spots
2. Parotitis
3. Meningoencephalitis
4. Nephritis

Correct answer: 3. Meningoencephalitis

Explanation: Neurological complications are more severe, e.g., febrile convulsions, encephalitis, and SSPE.